First branch of facial nerve is -
1. Greater petrosal nerve
2. Lesser petrosal nerve
3. Chorda tympani nerve
4. Nerve to stapedius

Correct answer: 1. Greater petrosal nerve

Explanation: Ans. is 'a' i.e., Greater petrosal nerve * The branches of facial nerve are1) In the fallopian canal (from intratemporal part)# Intratemporal part gives following branches: -i) Greater superficial petrosal nerve It is the first branch and arises from geniculate ganglion (i.e., first genu). It joins the deep petrosal nerve to form vidian nerve (nerve to pterygoid canal) and carries secretomotor fibres to the lacrimal gland, nasal gland, Palate gland and pharyngeal gland.ii) Nerve to stapedius It is the second branch of facial nerve and arises at the level of second genu. It supplies the stapedius muscle and its damage can cause hyperacusis.iii) Chorda tympani It arises from the middle of verticle segment. It carries secretomotor fibres to submandibular and sublingual glands and brings taste from anterior two third of tongue.iv) Communicating branch Joints the auricular branch of vagus.2) At its exit from stylomastoid foramen# At its exit from stylomastoid foramen, facial nerve gives: -i) Posterior auricular nerve: - It supplies muscles of pinna, occipital belly of occipitofrontalis.ii) Diagastric nerve: - Supplies posterior belly of diagastric.iii) Stylohyoid nerve: - Supplies the stylohyoid muscles.3) Terminal branches# The facial nerve divides within the parotid gland into its terminal (peripheral) branches : -i) Temporal branch : - Innervates frontalis muscle which allows for voluntary rising of eyebrow.ii) Zygomatic branch : - Innervates orbicularis oculi muscle and is critical for proper eye closure.iii) Buccal nerve: - Innervates the buccinator and orbicularis oris, allowing for proper mouth closure and cheek muscle activity.iv) Mandibular nerve: - Innervates the platysmav) Cervical branch